Erythrocytic schizogony of Plasmodium liberates:
1. Sporozoites
2. Trophozoites
3. Merozoites
4. Phanerozoites

Correct answer: 3. Merozoites

Explanation: Erythrocytic schizogony: Merozoites are released at the end of erythrocytic schizogony. The amoeboid trophozoites after feeding, grows in size and becomes erythrocytic schizont. Asexual multiplication takes place in schizont and forms merozoites which give pressure to the wall of weak RBC and liberated out in the form of erythrocytic merozoites. The process of formation of merozoites in the RBCs from the metacryptozoites is called erythrocytic schizogony. Many merozoites enter the fresh RBC and repeat the erythrocytic cycle. Pre- erythrocytic schizogony: Sporozoites in liver cell grow in size and become schizonts. The nucleus of schizont multiply asexually (multiple fission) and forms thousands of merozoites. These gives pressure to the wall of liver cell and liberated out in the form of cryptozoites or cryptomerozoites through ruptured liver cell.The process of formation of many cryptozoites from single sporozoites in liver cell is called pre-erythrocytic schizogony. Each sporozoite in the hepatocytes can give rise to 2000-50,000 merozoites. These merozoites - invade RBC's - Erythrocytic schizogony - Invade fresh RBC's.